A patient complaints of breathlessness following a trauma, Trachea shifted to opposite side, Resonant percussion note seen with absent Breath sounds. On insertion of ICD- False statement is
1. Direction of insertion is posterior and superior
2. Insertion area must be palpated digitally to confirm the position
3. Inserted into the 4th or 5th ICS along the scapular line
4. Done in Upper part of Lower Rib to avoid vessel and nerve injury

Correct answer: 3. Inserted into the 4th or 5th ICS along the scapular line

Explanation: Inserting a Chest Drain Site of Insertion: - Triangle of Safety Boundaries: - * Anterior to mid axillary line * Above level of nipple * Below and Lateral to Pectoralis Major * This usually gets inserted in 5th ICS level. Steps in ICD Insertion: - * Meticulous Sterility maintained. * Insert Local Anaesthesia up to Pleura. * Sharp dissection to Cut only the Skin. * Blunt Dissection using Artery Forceps through the muscles- Intercostal and Serratus anterior. * Oblique tract is made so that the parietal pleura is tunnelled to avoid leakage of air. * Drain in cases of Haemothorax and Pneumothorax should aim the Apex * Drain for Empyema and Pleural effusion should be at Base * Drain should pass at the upper edge of the rib to avoid injury to neurovascular bundle. * Don't apply any clamp in Drain as it may be forgotten to be removed. * Don't apply suction also. * Bubbling drain must never be clamped. * Check the drain location by a Chest X ray. Ref:- Bailey and Love 27th Edition; Pg num:- 920